Oncological outcome in HCC is described by all except:-
1. MELD
2. BCLC
3. CLIP
4. OKUDA

Correct answer: 1. MELD

Explanation: MELD Score (The Model of End-stage Liver Disease)is used to estimate relative disease severity and likely survival of patients awaiting liver transplantation . Staging For HCC :- OKUDA Classification (MC used) B- Bilirubin A- Albumin T- Tumour size A- Ascites Cancer of the Liver Italian program (CLIP) Components: PACT (portal vein thrombosis, AFP levels, child-pugh stage, tumor extension) Applicable to Hepatitis C- related HCC cases Chinese university prognostic index Components: BA3 TS (Bilirubin: A; Ascites, AFP, ALP, TNM stage,Symptoms) Applicable to HBV related HCC Barcelona clinic liver cancer staging system Developed to allow for the indication of the best therapy for each stage of HCC.